Cart wheel appearance of Tympanic membrane is seen in which stage of Asom
1. Stage of Tubal occlusion
2. Stage of Resolution
3. Stage of suppuration
4. Stage of Pre-suppuration

Correct answer: 4. Stage of Pre-suppuration